Some cells secrete chemicals into the extracellular fluid that act on cells in the same tissue. Which of the following refers to this type of regulation?
1. Neural
2. Endocrine
3. Neuroendocrine
4. Paracrine

Correct answer: 4. Paracrine

Explanation: Paracrine communication is cell secretions that diffuse into the extracellular fluid to affect neighboring cells Autocrine communication-Cells secretes chemical messengers that in some situations bind to receptors on the same cell, that secreted the messenger